Peripheral chemoreceptors respond to hypoxia using which channel
1. Sodium channel
2. Chloride channel
3. Calcium channel
4. Potassium channel

Correct answer: 4. Potassium channel

Explanation: Peripheral chemoreceptors * Carotid bodies and aortic bodies (these carotid bodies and aortic bodies should not be confused with the baroreceptors of carotid sinus and aortic arch) * The major function of these carotid and aortic bodies is to sense hypoxia in the arterial blood and send signals to the medulla to increase ventilation * The signals are carried through afferents of vagus for aortic bodies and glossopharyngeal nerve for carotid bodies * The glomus cell is the chemosensor in the carotid and aortic bodies Ref:- Boron Medical Physiology 2nd ed; pg num:- 738